Cock's peculiar tumour is -
1. An infected sebaceous cyst
2. A malignant tumour of the scalp
3. A metastatic lesion of the scalp
4. An indicator of underlying osteomyelitis

Correct answer: 1. An infected sebaceous cyst

Explanation: Ans. 'a' An infected sebaceous cyst Cocks peculiar tumour is actually a complication of sebaceous cyst. When the sebaceous cyst of the scalp ulcerates excessive granulation tissue forms resembling fungating epithelioma.This is called cock's peculiar tumour. Also know these terms Cylindroma? - A malignant epithelial tumour also k/a Turban tumor - Known as cylindroma because of histological appearance Pilomatrixoma (Calcifying epithelioma of Malherbe) ? - It is a benign hair follicle derived tumour. Pott's puffy tumour ? It is osteomyelitis of the skull associated with subperiosteal swelling and edema.